All of the following can lead to .sudden death except:
1. Massive MI
2. Atrial flutter
3. Ventricular fibrillation
4. Massive pulmonary emboli

Correct answer: 2. Atrial flutter

Explanation: Ans. B: Atrial flutter Sudden death is not directly associated with atrial flutter. However, in individuals with a pre-existing accessory conduction pathway, such as the bundle of Kent in Wolff-ParkinsonWhite syndrome, the accessory pathway may conduct activity from the atria to the ventricles at a rate that the AV node would usually block. Bypassing the AV node, the atrial rate of 300 beats/ minute may lead to a ventricular rate of 300 beats/ minute (1:1 conduction). Even if the ventricles are able to sustain a cardiac output at such a high rates, 1:1 flutter with time may degenerate into ventricular fibrillation, causing hemodynamic collapse and death.